According to FDI tooth numbering system the number 45 refers to
1. deciduous mandibular right second molar
2. mandibular right second premolar
3. maxillary right second premolar
4. deciduous maxillary right second molar

Correct answer: 2. mandibular right second premolar